Inhaled general anaesthetic with low blood gas
partial coefficient are characterized by
1. Rapid induction and quick recovery from anaesthesia
2. Rapid induction and slow recovery from anaesthesia
3. Slow induction and slow recovery from anaesthesia
4. Slow induction and quick recovery from anaesthesia

Correct answer: 1. Rapid induction and quick recovery from anaesthesia